Under physiological conditions heat acclimatization is accomplished WE.
1. Decreased Renal Blood Flow
2. Increased urine sodium
3. Increased aldosterone secreti on
4. Excessive sweating

Correct answer: 2. Increased urine sodium

Explanation: B i.e. Increased urine sodium